Following are early changes after death except:
1. Algor mortis
2. Retinal changes and changes in vitreous humor
3. Rigor mortis
4. Dilatation of pupil

Correct answer: 4. Dilatation of pupil

Explanation: Changes after death 1. Immediate changes a) cessation of respiration b) cessation of circulation c) insensibility d) loss of voluntary power e) Dilatation of pupil 2. Early changes a) primary flaccidity of muscles b) algor mortis c) Liver mortis d) Rigor mortis e) Retinal changes and changes in vitreous humor. 3. Late changes a) putrefaction b) Adipocere formation c) Mummification Ref: FORENSIC MEDICINE AND TOXICOLOGY DR PC IGNATIUS THIRD EDITION PAGE 19